Hepatitis C virus is a -
1. Togavirus
2. Flavivirus
3. Filovirus
4. Retrovirus

Correct answer: 2. Flavivirus

Explanation: Resembles flavivirus& belongs to family flaviviridae
REF:ANATHANARAYANAN MICROBIOLOGY NINTH EDITION PAGE.549